Least common site involvement in psoriasis is:
1. Scalp involvement
2. Nail involvement
3. CNS involvement
4. Arthritis

Correct answer: 3. CNS involvement

Explanation: Ans. c. CNS involvementScalp is a common site of involvement in psoriasis. Corona psoriatica is a band of psoriasis, projecting beyond hairline on forehead.Nail changes in psoriasis are pitting, onycholysis, subungual hyperkeratosis, splinter hemorrhages, uneven surface.